What is the main product of fetal adrenal gland?
1. Cortisol
2. DHEA-S
3. Testosterone
4. Progesterone

Correct answer: 2. DHEA-S

Explanation: Ans. is b, i.e. DHEA-SMain product of fetal adrenal gland is DHEA-S which it synthesises using cholesterol.The fetal DHEA-S is then used by placenta to synthesize estrogen (E3 and E2 )Extra EdgeAt term, fetal adrenal glands weigh the same as those of adults.More than 80% of fetal gland is composed of unique fetal zone which has a great capacity for steroid synthesis.Daily steroid production of fetal adrenal gland is 100-200 mg/day as compared to adults 30-40 mg/day.Fetal zone is lost in the first year of life and is not present in adults.In anencephaly, fetal adrenal gland is absent or hypoplastic.